In multiple myeloma-amyloid is -
1. AL
2. AA
3. ATTR
4. None

Correct answer: 1. AL

Explanation: Ans. is 'a' i.e., AL In Multiple myeloma the amyloidosis is AL type (primary amyloidosis). Primary amyloidosis o It is the most common form of amyloidosis. o It occurs when there is immunocyte dyscrasias. o Best defined example is multiple - myeloma. o But, The great majority of patients with primary (AL) amyloid do not have classic multiple myeloma or any other overt B-cell neoplasma. o These patients have an underlying B-cell dyscrasia in which production of an abnormal protein rather than production of tumor mass, is the predominant manifestation.